Neonatal tetanus prevention is best done by_____________antenatal measure :
1. Penicillin
2. Tetanus immunoglobulin
3. Metronidazole
4. Tetanus toxoid

Correct answer: 4. Tetanus toxoid

Explanation: - Neonatal tetanus can be prevented by giving: Primigravida - 2 doses of td as soon as possible. Multigravida- If pregnancy occurs within 3 years of 1st pregnancy -1 dose of td booster is given. If pregnancy occurs after 3yrs of 1st pregnancy- 2doses should be repeated.